The Prostatic urethra is characterized by all of the following features, except that it -
1. Is the widest and most dilatable part
2. Presents a concavity posteriorly
3. Lies closer to anterior surface of prostate
4. Receives Prostatic ductules along its posterior wall

Correct answer: 2. Presents a concavity posteriorly

Explanation: Ans- B Ref- Textbook of Anatomy Abdomen and Lower Limb - Singh_ Vishram(Vol 2) Prostatic Part of the Urethra (3 cm Long) As its name implies it traverses through the anterior part of the prostate. It is the widest and most dilatable part of the male urethra. It is fusiform in the coronal section. The inner aspect of its posterior wall presents the following features 1. Urethral crest, a median longitudinal ridge of the mucous membrane. 2. Colliculus seminalis (verumontanum), an elevation on the middle of the urethral crest. The prostatic utricle opens on its summit by a slit-like orifice. On either side of the orifice of the prostatic utricle opens the ejaculatory ducts. 3. Prostatic sinuses, vertical grooves one on each side of the urethral crest. Each sinus presents 15-20 openings of the prostatic glands. Convex posteriorly is the correct statement.